Which of the following agents is used for the treatment of postoperative shivering?
1. Thiopentone
2. Suxamethonium
3. Atropine
4. Pethidine

Correct answer: 4. Pethidine

Explanation: D i.e. Pethidine * In anaesthesia, shivering occurs as a protective mechanism as inhalational agents, spinal/epidural block causes vasodilatation leading to heat loss. Shivering can be abolished by inhibition of hypothalamus. Halothane most commonly leads to shivering. Treatment of shivering 1. Pethidine or pentazocineQ 2. Oxygen inhalation. Oxygen consumption may increase upto 4 times (400%) during shivering. So oxygen inhalation during shivering is mandatory.